A 70 year old male chronic smoker is having carcinoma in situ of urinary bladder. TUR is done. Now there is a recurrence with the tumour extending into the muscle treatment would be
1. Intravesical BCG
2. I ntravesci cal chemotherapy
3. Palliative Radiotherapy
4. Radical Cystectomy

Correct answer: 4. Radical Cystectomy

Explanation: Answer- D. Radical CystectomyTumor extending into muscle is stage T2 - Radical cystectomy is advised.Treatment-T2- T4Radical cystectomyNeoadjuvent chemotherapy followed by radical cytectomyfollowed by adjuvant chemotherapyConcomitant chemotherapy and irradiation